Thiamine level is best monitored by
1. Transketolase level in blood
2. Thiamine level in blood
3. G6PD activity
4. Reticulocytosis

Correct answer: 1. Transketolase level in blood

Explanation: The activation of apo-transketolase in erythrocyte lysate by thiamine diphosphate added in vitro has become the accepted index of thiamine nutritional status.